All are tests to check eustachian tube patency except -
1. Valsalva maneuver
2. Fistula test
3. Frenzel's maneuver
4. Toynbee's maneuver

Correct answer: 2. Fistula test

Explanation: This question can be solved even if we dont know all tests for eustachian tube patency, because we know fistula test is for assessing vestibular functions and not for Eustachian tube patency. Still it is worth while knowing tests for eustachian tube patency.